Which of the following is not an anesthetic that acts for more than 2hrs?
1. Bupivacaine
2. Prilocaine
3. Etidocaine
4. Tetracaine

Correct answer: 2. Prilocaine

Explanation: Prilocaine have only intermediate duration and potency (30-90 min). Tetracaine, Bupivacaine, Etidocaine have long duration and potency (>120 min). Ref: Miller Anaesthesia, 5th Edition, Page 586.